Patient with a metallic foreign body in the eye,which of the following investigation is contraindicated?
1. X-Ray
2. CT
3. USG
4. MRI

Correct answer: 4. MRI

Explanation: MRI is contraindicated in Cardiac pacemakers Aneurysmal metallic clips Metallic foreign body Cochlear implant Claustrophobia(Relative contraindication)